Ortolani test is positive when the examiner hears the ?
1. Clunk of entry on abduction and flexion of hip
2. Clunk of entry on extension and adduction of hip
3. Click of exit on abduction and flexion of hip
4. Click of exit on extension and adduction of hip

Correct answer: 1. Clunk of entry on abduction and flexion of hip

Explanation: Ans. is 'a' i.e., Clunk of entry on abduction and flexion of hip Clinical tests for CDH/DDH In infancy two tests are used. Barlow's test This test is done within 2-3 days of birth. The test has two parts :? Part 1 :- Infant is in supine position with hip and knee in 90deg of flexion, The hip is slowly adducted & pushed to dislocate the hip and one can hear a clunck of exit of femoral head out of the acetabulum. Part 2 :- Now the hip is gentely abducted and pulled to reduce the hip. This will cause 'clunk' indicating reduction of hip. It is quite obvious that part 1 can be done only dislocatable hip; but not in already dislocated hip as the head is already out of the acetabulum. Ortolani's test This test is similar to 2nd part of Barlow's test, i.e. slow abduction of hip in flexed position of hip & knee to reduce the hip.